Proximal & distal renal tubular acidosis is differentiated by all, except:
1. Stones in kidney
2. Hypokalemia
3. Daily acid secretion
4. Presence of Fanconi syndrome

Correct answer: 2. Hypokalemia

Explanation: Answer is B (Hypokalemia):